Referred pain in the ear is commonly from ___
1. Maxillary carcinoma
2. Nasopharyngeal carcinoma
3. Carcinoma tongue
4. Malignant otitis externa

Correct answer: 3. Carcinoma tongue

Explanation: Referred causes of earache: As the ear receives nerve supply from: Vth (auriculotemporal branch) cranial nerve-dental, oral cavity, temporomandibular joint disorders and sphenopalatine neuralgia IXth (tympanic branch) cranial nerve -oropharynx, base of tongue, elongated styloid process Xth (auricular branch) cranial nerve-vallecula, epiglottis, larynx, esophagus From C2 (lesser occipital) and C2 and C3 (greater auricular), pain may be referred from these remote areas.